Curshmann's crystals are seen in -
1. Bronchial asthma
2. Bronchiectasis
3. Chronic bronchitis
4. Wegners granulomatosis

Correct answer: 1. Bronchial asthma

Explanation: Ans. is 'a' i.e., Bronchial asthma Pathology of AsthmaGross -o Lungs are overdistended because of overinflation and there may be small area of atelactasis.o The most striking macroscopic finding is occlusion of bronchi and bronchioles by thick tenacious mucus plugs.Histology -o Characterized by presence of numerous eosinophils and neutrophils.Curschman spiral - Whorls of shed epithelium in mucus plugs.Charcot -leyden crystals - Collection of crystalloids made up of eosinophilic membrane protein.The other characteristic histological finding of Asthma is collectively called Airway remodelling, it includes -o Thickening of the basement membrane of the bronchial epithelium.o Edema and an inflammatory infiltrate in the bronchial walls with a prominence of eosinophils and mast cells,o An increase in the size of submucosal glands,o Hypertrophy of bronchial wall muscle.The "airway remodelling" contributes to airflow obstruction.